Sun ray appearance is seen in – a) Osteosarcomab) Ewing sarcomac) Osteoclastomad) Multiple myeloma
1. ac
2. ab
3. ad
4. bc

Correct answer: 2. ab

Explanation: Sunray appearance is classically seen in osteosarcoma. It may also occur in metastases, Ewings sarcoma, Haemangioma, Meningioma and tuberculosis.